Registration of birth & death with a 6 monthly survey is done in -
1. National sample survey
2. Vital statistical system
3. Census
4. Sample registration system

Correct answer: 4. Sample registration system

Explanation: Ans. is 'd' i.e., Sample registration system